Anti-tubercular drug associated with psychosis is:
1. INH
2. Rifampicin
3. Ethambutol
4. Streptomycin

Correct answer: 1. INH

Explanation: Ans. (A) INH(Ref: Goodman Gilman 12th/1556)Isoniazid can cause neuropsychiatric adverse effects like seizures, transient loss of memory and psychosis.